Amifostine is a:
1. Radiosensitizer
2. Radioprotector
3. Radio modifier
4. Radiomimetic

Correct answer: 2. Radioprotector

Explanation: Ans is 'b' i.e. Radioprotector Amifostine is an organic thio phosphate analog designed to produce preferential cytoprotection of normal tissues from cytotoxic therapies.The preferential cytoprotection is due to the activation of amifostine by membrane-bound alkaline phosphatase to the free thiol, WR-1065, the active form. This activation occurs to a greater extent in normal tissue sites than in tumor cells.The free thiol acts as a potent scavenger of free radicals and superoxide anions to inactivate the reactive species of cisplatin and radiation therapy.Uses:To reduce the incidence of nephrotoxicity in ovarian cancer and non-small cell lung cancer in conjunction with cisplatin-based chemotherapy andTo reduce the incidence of xerostomia in patients undergoing radiation therapy for head and neck cancer. (Amifostine does not appear to adversely affect the antitumor activity of cisplatin or radiation therapy).To reduce the incidence of pneumonitis and esophagitis secondary to combined modality therapy for non-small cell lung cancer.